A person believes that he is passing semen in urine and that results in physical & mental weakness Diagnosis:
1. Koro
2. Latah
3. Dhat syndrome
4. Munchausen syndrome

Correct answer: 3. Dhat syndrome

Explanation: Dhat syndrome is seen in some Indian communities, where patient believes he is passing semen in urine and that leads to weakness.